"Malta" fever is caused by:
1. Treponema
2. Borellia
3. Brucella
4. Pseudomonas

Correct answer: 3. Brucella

Explanation: Brucella